Which artery supplies to the midgut?
1. Celiac trunk
2. Inferior mesenteric
3. Proper hepatic
4. Superior mesenteric

Correct answer: 4. Superior mesenteric

Explanation: The superior mesenteric artery is the artery of the midgut. The celiac trunk is the artery of the foregut, and the inferior mesenteric artery is the artery of the hindgut. The splenic artery is a branch of the celiac artery, and the proper hepatic artery is a branch of the common hepatic artery, which is a branch of the celiac artery. Ref: Harkin D.W., Lindsay T.F. (2005). Chapter 86. Mesenteric Ischemia. In J.B. Hall, G.A. Schmidt, L.D. Wood (Eds), Principles of Critical Care, 3e.